Which of these carries maximum blood?
1. Arteries
2. Veins
3. Aorta
4. Arterioles

Correct answer: 2. Veins

Explanation: Because of their properties of distensibility and collapsibility, veins serve as blood reservoirsAbout 60-70% of the blood present in the venous system Ref: Medical Physiology Indu Khurana 2015 edition page No:241